Antibodies in ITP are-
1. IgG
2. IgM
3. IgE
4. IgD

Correct answer: 1. IgG

Explanation: In ITP auto antibodies are directed against platelet membrane Glycoprotein 2b-3aor 1b-9 The antiplatelet antibodiesare IgG class. Ref:Robbins and Cotran Pathologic basis of disease.South Asia Edition_9 volume 1.page no.658